Prunning of Pulmonary arteries is seen in:
1. Pulmonary hypertension
2. Chronic Bronchitis
3. Pulmonary infections
4. Pulmonary transplant

Correct answer: 1. Pulmonary hypertension

Explanation: A i.e. Pulmonary hypertension Pulmonary arterial hypertension is characterized by pruning of peripheral pulmonary arteriesQ (i.e. disproportionate increase in caliber of fibrous central arteries from sustained increase in PBF with a decrease in caliber of small muscular/peripheral arteries). Pulmonary (Arterial) Hypertension (PAH) It is defined as an elevation in mean pulmonary arterial pressure above 30mmHg during execise and above 25mmHg at rest in systole. An increase in PAH most commonly occurs as a result of intrinsic lung disease, which results in an increae in pulmonary vascular resistance and subsequent increase in PA pressure. PAP can also increase as a result of an increase in pulmonary venous pressure (which may be d/t impaired left ventricle function or obstruction to left sided cardiac flow eg MS etc). So radiological features may be slightly different depending on cause i.e. pulmonary arterial or pulmonary venous hypertension. Radiological features of PAH include. Vascular Signs - Enlargement of central pulmonary arteries (main pulmonary artery & its branches down to the segmental level)Q and tapering of peripheral arterial branches (vessels beyond segmental level)-termed pripheral pruningQ are seen - Enlargement of central main pulmonary artery may be extremely large with complete infilling of pulmonary artery/ventricular concavity of left heart border on X-ray. - Widest diameter of main pulmonary artery (MPA) 29mm measured on transverse section (CT) at level of PA bifurcation has 90% sensitivity & specificity - Diameter ratio of MPA to ascending aorta (measured at same level) >1 i.e. diameter of MPA>AA has strong correlation in - Transverse diameter of right descending pulmonary artery at midpoint >17mm (Grainger); diamete of left and right pulmonary artery >16mm (Wolfgang); maximum diameter of descending branch of pulmonary artery (measured lcm medial & 1 cm lateral to hilar points) >16mm for males & >15mm for females (Sutton) - Pulmonary arteries with in lungs are enlarged but there is rapid tapering of vessels (beyond segmental level) as they run towards the periphery. The important feature is discrepancy between central and peripheral vessel size, central pulmonary arteries being large or near normal sometimes and peripheral arteries disproportionately small (pruning or tapering). - Vascular complications include sub pleural pulmonary infarct, dissection & calcified plaques of central pulmonary arteries (pathognomic, a feature not seen in nonhypertensive pulmonary arteries; is often curvilinear & egg shape calcificaiton mimicking enlarged lymph nodes, from which it is differentiated by absence of lobulation and presence of smooth border). - Pulmonary veins are small in pre capillary pulmonary hypertension whereas enlarged in post capillary causes. Mediastinal & Cardiac Signs - Cardiac enlargement (right heart i.e. RA and RV enlargement & hypertrophy)Q demonstrating a large, triangular heart. - Mild pericardial thickening & effusion. - Dilatation of IVC, coronary sinus & SVC (On MRI/CT) Lung Parenchymal Signs - Mosaic perfusion without dilatation of bronchi (increase in vessel diameter in areas of hyper attenuation & tapering of peripheral vessels in areas of hypo attenuation)